Tober Ayer test is positive in -
1. Lateral sinus thrombosis
2. Petrositis
3. Cerebral abscess
4. Subarachnoid hemorrage

Correct answer: 1. Lateral sinus thrombosis